A 41 year old male complains of senstivity to cold in right lower back tooth region. Intraoral examination reveals caries in relation to 46. IOPA examination reveals deep dentinal caries not involving the pulp. In selecting a dental base for this patient, the dentist should give greatest consideration to which of the following?
1. The biocompatibility
2. The strength of the base
3. The thickness of the remaining dentin
4. The hardness of the base

Correct answer: 3. The thickness of the remaining dentin

Explanation: The thermal conductivities and thermal diffusivities of cementing materials (glass ionomer, zinc phosphate and composite) compare favorably with these tissues, in contrast with the markedly higher values for metallic restorative materials. Thus, when the remaining dentin between the cavity and the pulp is too thin to provide sufficient thermal protection, an additional layer of an insulating base material should be placed.
Reference-Phillips Ed 12th  pg-40